A female on treatment for depression took a massive dose of amitriptyline for suicide. Which of the following statement regarding her management is WRONG ?
1. Gastric lavage should be done
2. Sodium bicarbonate should be administered to treat acidosis
3. Atropine sulphate should be administered as an antidote
4. Diazepam should be injected to control seizures.

Correct answer: 3. Atropine sulphate should be administered as an antidote